Radiographic features such as Tail sign is seen in except:
1. Plunging ranula
2. Mucocele
3. Both 1 and 2
4. None of the above

Correct answer: 2. Mucocele

Explanation: DIAGNOSIS: The tail sign is the classical and pathognomonic feature of plunging ranula in a CT. It shows small longitudinal tail-like extension of a pseudocyst. This tail sign is absent in mucocele.